Risk of the damage to the fetus by maternal rubella is maximum if the mother gets infected in -
1. 6-12 weeks of pregnancy
2. 20-24 weeks of pregnancy
3. 24-28 weeks of pregnancy
4. 32-36 weeks of pregnancy

Correct answer: 1. 6-12 weeks of pregnancy

Explanation: Ans. is ‘a’ i.e., 6-12 weeks of pregnancy
Congenital rubella syndrome (CRS) refers to infants born with defects secondary to intrauterine infection or who
manifest symptoms or signs of intrauterine infection sometimes after birth.
Rubella infection inhibits cell division and this is probably the reason for congenital malformations and low birth
weight.
Always remember these important points about congenital rubella infection.
The fetus can be infected as well as affected in all stages of the pregnancy.
The rate of infection, as well as damage to the fetus, is highest during the first trimester.
• Both the risk of infection as well as the risk of damage to the fetus goes on decreasing as the pregnancy progresses, so the rate of infection and the risk of damage to the fetus is lowest in the 3rd trimester.